The fastest acting schizontocidal drug among the following is :
1. Artemether
2. Mefloquine
3. Chloroquine
4. Proguanil

Correct answer: 1. Artemether